Which of the following is not a feature of juvenile CML?
1. Thrombocytopenia
2. Lymphadenopathy
3. Presence of Philedelphia chromosome
4. High HbF

Correct answer: 3. Presence of Philedelphia chromosome

Explanation: Philedelphia chromosome positivity is a feature of adult CML. Juvenile CML is commonly seen in children between 1-2 years of age. It is characterised by enlarged lymphnodes, spleen and liver. Lab findings includes thrombocytopenia, leukocyte count lower than classic CML, and in increase in proportion of fetal hemoglobin.